Raynauds phenomenon is commonly seen in
1. Upper limb of female
2. Lower limb of female
3. Lower limb of male
4. Upper limb of male

Correct answer: 1. Upper limb of female

Explanation: . It is an episodic vasospasam,especially arteriolar spasam usually bilateral more often seen in upperlimb of females as a result of abnormal sensitivity to cold.Patient develops blanching,cyanosis qnd later flushing .usually medial four digits and palm are involved.Thumb is spared.If vasospasam becomes longer,gangrene or ischemic ulceration supervenes along the tips of fingers. Refer page no 183 of SRB's manual of surgery5th edition.